Snow storm appearance on USG is seen in :
1. Hydatidiform mole
2. Ectopic pregnancy
3. Anencephaly
4. None of the above

Correct answer: 1. Hydatidiform mole

Explanation: Ans. is a i.e. Hydatidiform mole Diagnosis of H.mole : Ultrasound shows "Snow storm" appearance in the uterus. In case of complete molar pregnancy : -- Chorionic villi exhibit diffuse hydropic swelling -- Absence of fetal shadow. In case of partial molar pregnancy : -- Focal cystic spaces are seen in placental tissue -- Increase in transverse diameter of the gestation. Some fetal tissue is identifible. In either case theca lutein cyst may be seen. Note : For diagnostic purpose USG alone is adequate. quick and a safe procedure. Hormonal assay are now limited to post molar and post chemotherapy follow-up. Serum ri HCG : Serum beta HCG levels are very high in case of molar pregnancy. Levels more than 40,000 (Shaw 14/e, p 230) as detected by radio immunoassay are seen in trophoblastic diseases. Rapidly increasing serum values of HCG are also suggestive of molar pregnancy. Chest X-ray : Done to rule out lung metastasis CT scan Done to rule out brain and liver metastasis.